A patient of 47XXY karyotype with features of hypogonadism; likely diagnosis is :
1. Turners syndrome
2. Kilenfelters syndrome
3. Edwards syndrome
4. Down syndrome

Correct answer: 2. Kilenfelters syndrome

Explanation: Answer is B (Klinefelter's Syndrome):Klinefelter's syndrome most commonly presents with 47 (XXY) karyosome and hypogonadism is a common form of presentation and supports the diagnosis.